Arcuate eminence of the petrous temporal bone is caused by :
1. Superior semicircular canal
2. Posterior semicircular canal
3. Lateral semicircular canal
4. Cochlea

Correct answer: 1. Superior semicircular canal

Explanation: A i.e. Superior Semicircular Canal;